True about hyperthermic anhydrosis except
1. Also called as desse syndrome
2. complete absence of sweating
3. Hyperkeratotic plugging of sweat glands
4. Papular rashes over face and neck

Correct answer: 2. complete absence of sweating

Explanation: Hyperthermic anhydrosis: Also called as desse syndrome After generalised profuse sweating for days perspiration stops suddenly in all parts of the body below neck region but persists in face and neck. Hyperkeratotic plugging of sweat glands. Papular rashes over face and neck.